Which of the following is the most common cause of premature death in Schizophrenia?
1. Homicide
2. Suicide
3. Toxicity of antipsychotic drugs
4. Hospital acquired infections

Correct answer: 2. Suicide

Explanation: Suicide is the most common cause of premature death. Around 20-50% of patients with schizophrenia attempt suicide and around 5-10% of patients with schizophrenia commit suicide. If you have to chose a single figure, the best answer would be 10% of patients with schizophrenia commit suicide. The most important factor for suicide in schizophrenia is the presence of a major depressive episode.